Content of umbilical cord:
1. 2 artery, 1 vein
2. 2 veins, 1 artery
3. 2 artery,2 veins
4. 1 artery, 1 vein

Correct answer: 1. 2 artery, 1 vein

Explanation: Ans. (a) 2 artery, 1 veinRef: LB. Singh 9th ed. 159"Remember 2AV"* Umbilical cord is the structure which connects mother to fetus and acts as a bridge for transfer of blood and other nutrients from mother to baby.* It contains 2 arteries and one vein. Arteries carry deoxygenated blood from fetus to mother while vein carry oxygenated blood from mother to fetus.* Cord contains whartons jelly and structures embedded in this are:# 2 arteries and 1 vein# Allantois and# remains of vitellointestinal duct